Which of the following is the gold standard for testing breath matador (halitosis)?
1. portable volatile sulfide monitor
2. self examination
3. gas chromatography
4. organoleptic rating by a judge

Correct answer: 4. organoleptic rating by a judge